An examination of sputum for a suspected case of fungal infection may reveal hyphae in which of the following
1. Aspergillosis
2. Sporotrichosis
3. Histoplasmosis
4. Cryptococcosis

Correct answer: 1. Aspergillosis

Explanation: Cryptococcosis, histoplasmosis, and sporotrichosis are all caused by dimorphic fungi. At 37oC (98oF), the yeast form predominates. Aspergillosis, on the other hand, is caused by an organism that produces only hyphae (no-yeast component). Ref:- Baveja textbook of Microbiology